Which of the following condition is associated with laryngeal nerve paralysis?
1. Multinodular goitre
2. Grave's disease
3. Riedel's thyroiditis
4. Anaplastic thyroid cancer

Correct answer: 4. Anaplastic thyroid cancer

Explanation: Anaplastic carcinoma of thyroid has a tendency to invade all vital structures of the neck and and to not respect tissue planes. 30% of patients presents with hoarseness due to vocal cord paralysis following tumor involvement of recurrent laryngeal nerve. It can infiltrate the skin and and cause overlying necrosis 40% of patients presents with adenopathy in other areas of neck Can develop dyspnea due to tracheal or laryngeal invasion Cause superior venacaval syndrome due to invasion of SVC. Cause dysphagia due to infiltration of esophagus Occasionally it can present with leukocytosis that results from independent production of granulocyte colony stimulating factor.